Which of the following clinical conditions is most likely to result in hoarseness during speech?
1. Bronchogenic carcinoma of the apical segment of the right lung
2. Mitral valve insufficiency
3. Pulmonary thromboembolism
4. Retroesophageal right subclavian artery

Correct answer: 1. Bronchogenic carcinoma of the apical segment of the right lung

Explanation: A tumor of the apical segment of the upper lobe may impinge on the recurrent laryngeal nerve since it ascends from the superior mediastinum to the root of the neck in a groove between the trachea and esophagus. The recurrent laryngeal nerve supplies all intrinsic muscles of the larynx except the cricothyroid.